TRUE statement regarding vancomycin is:
1. It is bcteriostatic
2. It has the advantage of high oral bioavailability
3. It is not susceptible to penicillinases
4. Staphylococcal enterocolits occurs commonly with its use

Correct answer: 3. It is not susceptible to penicillinases

Explanation: (Ref: KDT 6/e p732) Vancomycin is a glycopeptide bactericidal antibiotic that is administered by parenteral route. It is penicillinase resistant, thus can be used in MRSA infections. It is also used for the treatment of pseudomembranous colitis. Vancomycin is ineffective against pseudomonas.